All of the following are true about Nizatidine except
1. It is a H2 blocker used in peptic ulcer disease
2. It has 100% Bioavailability
3. It also enhances gastric emptying
4. It can also lead to tachycardia

Correct answer: 4. It can also lead to tachycardia

Explanation: Nizatidine is a H2 blocker with anticholinesterase activity, thus enhances gastric emptying and can also cause bradycardia.